Tuberculin testing done at ?
1. Dorsum of left arm
2. Dorsum of right arm
3. Ventral aspect of left forearm
4. Ventral aspect right forearm

Correct answer: 3. Ventral aspect of left forearm

Explanation: Ans. is 'c' i.e., Ventral aspect of left forearm In tuberculin test, injection is given intradermally on flexor (ventral) surface of left forearm, mid-way between elbow & wrist.